Child pugh criteria is used for prognosis of which disease
1. Terminal liver disease
2. COPD
3. CRF
4. DCM

Correct answer: 1. Terminal liver disease

Explanation: The Child-Turcotte-Pugh score is a scoring system to measure the severity of chronic liver disease inclusive of cirrhosis.It employs the following: serum bilirubin, albumin, presence of ascitis, mental status ( hepatic encephalopathy ), nutrition and prothrombin time seconds prolonged(Pugh's modification ) Reference : page 622 SRB's manual of surgery 5th edition